Anti-D should be given following Rh+ delivery within:
1. 6 hours
2. 24 hours
3. 72 hours
4. 7 days

Correct answer: 3. 72 hours

Explanation: 72 hours